Long term administration of glucocorticoids can cause all of the following except:
1. Proximal myopathy
2. Hyperkalemia
3. Hypertension
4. Cataract

Correct answer: 2. Hyperkalemia